After oral administration, the fraction of drug reaching the site of circulation is known as:
1. Elimination
2. Bioavailability
3. Clearance
4. Distribution

Correct answer: 2. Bioavailability

Explanation: Ans. B. BioavailabilityThe fraction of drug reaching the site of circulation is known as bioavailability. IT is measured via area under the curve. Clearance is volume of plasma which is cleared from the drug per unit time. Distribution and elimination are parameters of pharmacokinetics.